Most important dose-limiting toxicity of cancer chemotherapy is:
1. Gastrointestinal toxicity
2. Neurotoxicity
3. Bone marrow suppression
4. Nephrotoxicity

Correct answer: 3. Bone marrow suppression

Explanation: Ans. (C) Bone Marrow suppression(Ref: CMDT 2010/1499, KDT 8th/e p917)Depression of bone marrow is usually the most significant dose limiting toxicity with cancer chemotherapy.